Otoacoustic emissions are produced by:
1. Inner hair cells
2. Outer hair cells
3. Basilar membrane
4. Auditory nerve

Correct answer: 2. Outer hair cells

Explanation: Otoacoustic emissions (OAEs) are produced by the outer hair cells. Motility of outer hair cells, spontaneous or in response to sounds, is transmitted by the basilar membrane, ossicular chain to tympanic membrane, and can be picked up and measured by a sensitive microphone placed in the outer ear canal.Spontaneous OAEs are present in 70% of normal individuals. Evoked OAEs are produced in response of pure tones or clicks. Absence of OAEs indicates damage to outer hair cells as in ototoxicity.